Which one of the following investigations is considered to be "Gold standard" technique for diagnosis of arterial occlusive disease –
1. Doppler ultrasound blood flow detection
2. Duplex imaging
3. Treadmill
4. Digital substraction angiography (DSA)

Correct answer: 4. Digital substraction angiography (DSA)